Superior angle of scapula lies at which level ?
1. T7
2. T12
3. T2
4. C5

Correct answer: 3. T2

Explanation: Ans. is 'c' i.e., T2